Renal vein thrombosis is/are caused by -
1. Nephrotic syndrome
2. Invasive renal cell carcinoma
3. Dehydration
4. All of the above

Correct answer: 4. All of the above